The pneumatisation process in maxillary sinus completes in?
1. 6-8 years
2. 13-14 years
3. 8-10 years
4. 18-20 years

Correct answer: 4. 18-20 years